Which of the following artery gives rise to posterior gastric artery
1. Splenic artery
2. Left gastric artery
3. Right gastric artery
4. Left gastroepiploic artery

Correct answer: 1. Splenic artery

Explanation: Coelic trunk:Hepatic artery /Left gastric artery and splenic artery .Splenic artery give rise to Post gastric artery ,short gastric artery and left gastro epiploic artery Posterior gastric artery supplies the posterior wall.